Most common cause of genu valgum in children is ?
1. Osteoarthritis
2. Rickets
3. Paget disease
4. Rheumatoid arthritis

Correct answer: 2. Rickets

Explanation: Ans. is 'b' i.e., Rickets o Genu valgum (also known as knock knee) is a condition where knees are abnormally approximated and ankles are abnormally divergent. o It is caused due to softening of bones or damage to lateral Femoral epiphysis Out of given options ? o Most common cause in children is Rickets. o Other diseases given in option are seen in elderly.